A farmer presents to the emergency department with painful inguinal lymphadenopathy and history of fever and flu like symptom. Clinical examination reveals an ulcer in the leg. Which of the following stains ahould be used to detect suspected bipolar stained organisms -
1. Albert's stain
2. Wayson's stain
3. Ziehl Nelson stain
4. Mc Fayden's stain

Correct answer: 2. Wayson's stain